Which is most dangerous for transmitting plague-
1. Blocked flea
2. Partial blocked flea
3. Both
4. Unblocked flea

Correct answer: 2. Partial blocked flea